Hyoid bone present at -
1. C1
2. C2
3. c3
4. C4

Correct answer: 3. c3

Explanation: (C) (C3) (49-BDC-3 6th, 590 Snell 9th)Hyoid Bone - at rest, it lies at the level of the third cervical vertebra behind and the base of the mandible infront.* Is a single mobile bone found in the midline.* It does not articulate with any other bones* U shaped, develops from second and third branchial arches.* It is attached to the skull by the stylohyoid ligament and to the thyroid cartilage by the thyrohyoid membrane.* The hyoid bone forms a base for the tongue and is suspended in position by muscles that connect it to the mandible, to the styloid process of the treatment bone, to the thyroid cartilage, to the sternum and to the scapula.